Most common cause of nosocomial urinary tract infection -
1. Streptococcus
2. Salmonella
3. E. coli
4. Staphylococcus

Correct answer: 3. E. coli

Explanation: Ans. is 'c' i.e., E. colio The term hospital infection, hospital -acquired infection or nosocomial infection are applied to infections developing in hospitalized patients, not present or in incubation at the time of their admission.o Such infections may become evident during their stay in hospital or, sometimes, only after their discharge.Common hospital acquired infectionso Overall staphylococcus aureus is the most common cause of nosocomial infection.o Most common type of nosocomial infection is urinary tract infection (UTI), caused most commonly by E. coli. Most common cause is urinary catheterization.o Staphylococcus aureus is the most common cause of surgical wound infection.o Pneumonia is the 2nd most common nosocomial infection (after UTI).o Most common cause of nosocomial pneumonia, especially in ICO are enteric-gram negative bacilli like E. coli and pseudomonas.o Most common cause of ventilator associated pneumonia are pseudomonas (21%) and staphylococcus aureus (20%).o Most common vascular device (intravascular catheter) associated infections / bacteremia are caused by coagulase negative staphylococci.BacteriaVirusFungusProtozoao Staphylococcio HIVo Candidao E. histolyticao Streptococcio HBVo Aspergilluso Plasmodiao E. colio HCVo Mucoro P. Cariniio Pseudomonaso CMVo Toxoplasma o Proteuso HSV o Klebsiellao Enteroviruses o Enterobacter o Serratia